All are differential diagnosis of Meniere's disease except:
1. Acoustic neuroma
2. CNS disease
3. Labyrinthitis
4. Suppurative otitis media

Correct answer: 4. Suppurative otitis media

Explanation: (d) Suppurative otitis media(Ref. Scott Brown, 8th ed., Vol 2, 833)The presenting symptom of Meniere is vertigo. So therefore CNS disease, labyrinthitis and Acoustic neuroma are among the differentials.Suppurative otitis media is clearly characterised by ear discharge and perforation of tympanic membrane.